Feature of hemorrhagic disease of new born is -
1. Prolonged prothrombin time
2. Defective platelet count
3. Prolonged bleeding time
4. Prolonged thrombin time

Correct answer: 1. Prolonged prothrombin time